Keratin of skin is softer than keratin in nail because keratin in skin has
1. Less number of disulphide bridges
2. Less number of salt bridges
3. High sodium content
4. Different affinity for water

Correct answer: 1. Less number of disulphide bridges

Explanation: Keratin in skin is softer than keratin in nail, horns because of lesser disulphide linkages between cysteine residues Ref: Biochemistry by U. Satyanarayana 3rd edition Pgno : 489